MARINA trial is being organized to do what?
1. Role of new antibiotics in fungal ulcer
2. Role of Anti VEGF in diabetes.
3. Role of Aflibercept in wet ARMD
4. Role of ranibizumab in ARMD

Correct answer: 4. Role of ranibizumab in ARMD

Explanation: TRIALS IN RETINA *STOP, CRYO-ROP, ETROP-ROP *CATT- WET ARMD (Ranibizumab) *LUMINATE- Volcosporine AIIMS(q) *ANCHOR- Ranibizumab *MARINA- Ranibizumab *AREDS- Dry ARMD *ETDRS- Diabetic Retinopathy *DRCRNet are the latest trials going in drugs that can be used in Diabetic Retinopathy